Ophthalmia neonatorum is caused by all except:
1. Chlamydia trachomatis
2. N. gonorrhoea
3. Staph, aureus
4. Proteus

Correct answer: 4. Proteus

Explanation: Ans: d (Proteus) Ref: Khurana, 4th ed, p. 71Ophthalmia neonatorum is bilateral inflammation of conjunctiva occurring in an infant less than 30 days. Proteus is not mentioned as a causative agent of ophthalmia neonatorum.Causative agents:a. Chemical conjunctivitisb. Gonococcal infectionc. Other bacteria - staphylococcus, streptococcus hemolyticus, pneumococcusd. Chlamidia trachomatis - inclusion conjunctivitise. Herpes simplex type 2